Pyridoxin is known as -
1. Vitamin B1
2. Vitamin B2
3. Vitamin B3
4. Vitamin B6

Correct answer: 4. Vitamin B6

Explanation: Ans. is 'd' i.e., Vitamin B6 o Vitamin B1Thiamino Vitamin B2 -Riboflavino Vitamin B3 -Niacino Vitamin B5 -Pantothenic acido Vitamin B6 -Pyridoxino Vitamin B7 -Biotin or Vitamin Ho Vitamin B9 -Folic acido Vitamin B12 -Cobalamine